The following local anesthetic raises BP instead of tending to cause a fall
1. Cocaine
2. Dibucaine
3. Lignocaine
4. Procaine

Correct answer: 1. Cocaine

Explanation: All LA’s cause hypotension except cocaine.
Cocaine increases blood pressure by inhibiting the reuptake of catecholamines.